Bleeding in a case of obstructive jaundice is treated with -
1. Fresh frozen plasma
2. Cryo precipitate
3. Whole blood
4. Buffy coat extract

Correct answer: 1. Fresh frozen plasma